All the following are criteria to diagnose postmolar GTN except
1. Plateau of serum b-hCG level (+- 10 percent) for four measurements during a period of 3 weeks or longer
2. Rise of serum b-hCG level > 10 percent during three weekly consecutive measurements or longer, during a period of 2 weeks or more
3. Serum b-hCG level remains detectable for 2 months or more
4. Histological criteria for choriocarcinoma

Correct answer: 3. Serum b-hCG level remains detectable for 2 months or more

Explanation: Criteria for Diagnosis of Gestational Trophoblastic NeoplasiaPlateau of serum b-hCG level (+- 10 percent) for four measurements during a period of 3 weeks or longer Rise of serum b-hCG level >10 percent during three weekly consecutive measurements or longer, during a period of 2 weeks or more Serum b-hCG level remains detectable for 6 months or more Histological criteria for choriocarcinomaReference: William's Obstetrics; 25th edition, chapter 20; Gestational trophoblastic diseases